A 62-year-old patient has been diagnosed with a restrictive pulmonary disease. Which of his following lung measurements is likely to be normal
1. FEV1
2. FVC
3. FEV1/FVC
4. FRC

Correct answer: 3. FEV1/FVC